Column-A Column-B 1. Tetralogy of Fallot(TOF) a. Egg on side 2. Transpoion of Great Aeries(TGA) b. Snow man appearance 3. Total anomalous pulmonary venous connection(TAPVC) c. Boot shaped hea 4. Ebstein anomaly d. Money bag appearance. e. Box shaped hea
1. 1-b, 2-c, 3-a, 4-d
2. 1-c, 2-a, 3-b, 4-e
3. 1-a, 2-d, 3-e, 4-c
4. 1-c, 2-a, 3-d, 4-e

Correct answer: 2. 1-c, 2-a, 3-b, 4-e

Explanation: Tetralogy of Fallot: Features of TOF: Pulmonary stenosis Overriding aoa Membranous VSD RVH "Boot shaped of hea" on X-Ray TGA: Transpoion of Great Aeries: Narrow mediastinum Globular hea "Egg on string" / "Egg on side " appearance on X-ray Ebstein anomaly: Has low inseion of tricuspid valve causing aerializatio of Rt ventricle Small right ventricle Associated with ASD & PDA Shows "box shaped hea" on x-ray. Pulmonary oligemia is also seen. Total anomalous pulmonary venous connection: Supra cardiac TAPVC "Snowman / figure of 8 /cottage loaf appearance" on x-ray